Antigen part that is attached to antibody -
1. Epitope
2. Paratope
3. Idiotype
4. Allotype

Correct answer: 1. Epitope

Explanation: Ans. is 'a' i.e., Epitope Epitopeo Also known as "antigenic determinant".o It is antibody binding site of antigen.Paratopeo The part of the antibody or T cell receptor that interact with the epitope.'The idiotype is defined as the specific region of the fab portion of the Ig molecules to which antigen binds". - Harrison